Least teratogenic antiepileptic drug in pregnancy is;
1. Valproate
2. Phenytoin
3. Carbamazepine
4. Levetiracetam

Correct answer: 4. Levetiracetam

Explanation: Anti-epileptic with highest risk of teratogenicity - Valproate - causes neural tube defects Anti-epileptic with lowest risk of teratogenicity- Lamotrigine >Levetiracetam